What is the definitive method of diagnosing pulmonary embolism ?
1. Ventilation perfusion imaging
2. Positron Emission Tomography
3. High Resolution CT
4. Pulmonary angiography

Correct answer: 4. Pulmonary angiography